A topical retinoid recently introduced for the treatment of psoriasis is -
1. Adapalene
2. Tazarotene
3. Alitretinoin
4. Bexarotine

Correct answer: 2. Tazarotene

Explanation: Ans. is 'b' i.e., Tazarotene o Tazarotene is approved for psoriasis and acne vulgaris.